In the investigation of a patient with suspected essential thrombocythaemia, in which of the following genes may you find abnormalities?
1. BCL-2
2. BCR
3. c-MYC
4. CAL-R

Correct answer: 4. CAL-R

Explanation: All of these mutated genes are associated with haematological conditions : BCR with chronic myeloid leukaemia (CML), c-MYC and BCL-2 with lymphoma, and MYH-9 with congenital thrombocytopathy. Only CAL-R, calreticulin, is associated with the myeloproliferative neoplasm essential thrombocythaemia.